Most common infection in contact lens users is?
1. Streptococcus
2. Pseudomonas
3. Staphylococcus
4. Neisseria

Correct answer: 2. Pseudomonas

Explanation: Ans. is 'b' i.e., Pseudomonas Complications of contact lens wear Complications of contact lens wearing are : ? Intolerance :- Some people find wearing contact lenses intolerable. Corneal complications :- Corneal abrasion, Corneal edema, Corneal vascularization, Microbial keratitis (Pseudomonas, acanthamoeba), Sterile corneal infiltrate. Giant papillary conjunctivitis Hypoxia :- Cornea is deprived of oxygen from the tear film by the presence of the contact lens. The cornea becomes edematous and new vessels may develop in the limbal area. Sensitivity :- This may develop in response to the preservative (thiomersal) in the cleaning and soaking solution. This results in allergic conjunctivitis.